In a child with suspected diagnosis of epiglottitis, indicate your first line of treatment:
1. Order an X-ray of soft tissue lateral view neck to establish the diagnosis
2. Take throat swab and blood culture and start intravenous fluids
3. Perform a laryngoscopy
4. Secure an airway by intubation

Correct answer: 4. Secure an airway by intubation

Explanation: In epiglottitis, the epiglottis and aryepiglottic folds are swollen obstructing the airway. Any attempt to disturb the child such as taking throat swab, blood culture, starting I/V lines may precipitate respiratory obstruction.Treatment is directed to airway establishment. Child is taken to operation room, anaesthetised and intubated. Blood culture and epiglottic swabs are then taken and antibiotics (second or third generation cephalosporins) started. In the absence of a skilled anaesthetist, a tracheotomy may be performed.